Sodomy comes under which section IPC -
1. 354
2. 375
3. 377
4. 378

Correct answer: 3. 377

Explanation: Ans. is 'c' i.e., 377 o Section 377 IPC - it defines unnatural sexual offences as sexual intercourse against the order of nature with any man, woman or animal and lays down punishment for the same. Consensual sex between adults in a private space, which is not harmful to women or children, cannot be denied as it is a matter of individual choice. It is not a criminal offence if consent has been given. o Section 354 IPC -Indecent assault is any offence committed on a female with the intention or knowledge to outrage her modesty.o Section 375 IPC- Defines rape.o Section 376 IPC- Intercourse with his own wife living separately under a decree of separation or under any custom without her consent is punished with imprisonment upto 2 years and also fine.